Most common intraocular tumour in adult:
1. Metastasis
2. Retinoblastoma
3. Malignant melanoma
4. Vitreous tumour

Correct answer: 1. Metastasis

Explanation: A i.e. Metastasis